Extradural haematoma is associated with what % of severe trauma -
1. 36%
2. 10%
3. 77%
4. 96%

Correct answer: 2. 10%

Explanation: "Epidural hematoma occur in upto 10% of severe head injury cases and are less often associated with underlying cortical damage than are subdural hematomas." - Harrison